Which of the following complications is not seen in mitral valve prolapse?
1. Stroke
2. Infective endocarditis
3. Mitral stenosis
4. Ventricular arrhythmia

Correct answer: 3. Mitral stenosis

Explanation: Answer- C. Mitral stenosisInfective endocarditisMitral insuficiency (mitral regurgitation)Stroke or other systemic infarct resulting from embolism of leaflet thrombiArrhythmias